The purpose of investment setting expansion is to compensate for
1. Casting Shrinkage
2. Casting expansion
3. Wax elimination
4. Alloy melting

Correct answer: 1. Casting Shrinkage

Explanation: The rationale for increasing setting expansion is that certain newer alloys, such as base metal, have a greater casting shrinkage than do the traditional noble metal alloys. Thus, higher expansion is required in the stone die to aid in compensating for the alloy solidification shrinkage.
Phillips 12th edition page no 191